Which layer of Retina continues as optic nerve
1. Ganglionic cell layer
2. Nerve fibre layer
3. Internal limiting layer
4. External limiting layer

Correct answer: 2. Nerve fibre layer

Explanation: Nerve fibre layer continues as optic nerve.